Which clinical feature is not associated with pheochromocytoma?
1. High systolic pressure
2. Hypoglycemia
3. High diastolic pressure
4. Erythrocytosis

Correct answer: 2. Hypoglycemia

Explanation: Option A & C- Both are elevated * Vol. constricted state so relative polycythemia or erythrocytosis is seen in patients. * The circulating fluid volume is reduced in pheochromocytoma d/t which it l/t | Erythrocyte count and Hypercalcemia. Note: Pheochromocytoma causes a sympathomimetic stimulation i.e. it causes |HR, |value of blood sugar (Hyperglycemia) & impaired glucose tolerance. Best imaging method: MRI abdomen Identifying pheochromocytoma from biochemical evidence : 1st test-24 hr urine fractionated metanephrine IOC: Plasma fractionated metanephrine values To control High Blood Pressure of patient : Phenoxybenzamine (a + ss) blocker